Chorion is:-
1. Trophoblast with mesoderm
2. Trophoblast with splanchnopleuric mesoderm
3. Trophoblast with somatopleuric mesoderm
4. None of above

Correct answer: 3. Trophoblast with somatopleuric mesoderm

Explanation: Somatotropic mesoderm along with cytotrophoblast is called chorion. Somatopleuric layer lines the cyto-trophoblast and amnion; and splanchno pleuric layer covers the primary yolk sac. The extra embryonic coelom divides the extra embryonic mesoderm into somatopleuric and splanchnopleuric layers.